Langerhans cell shows which of these?
1. Badminton racquet appearance
2. CD100a
3. MPO +
4. Birbeck's granules

Correct answer: 4. Birbeck's granules

Explanation: d. Birbeck's granules(Ref: Nelson's 20/e p 2484-2489; Ghai 8/e p 620-623)Tennis racquet and not badminton racquet appearance is seen in EM of LCH; LCH is positive for CD1a and S100.